Hyperacute rejection of transplant is due to
1. T cell mediated
2. B cell mediated
3. Preformed antibodies
4. Macrophage mediated injury

Correct answer: 3. Preformed antibodies

Explanation: Preformed antibodies will cause hyperacute rejection.
T cells will cause acute rejection.